Which is the most common cranial nerve involved in raised ICP?
1. Abducens
2. Trochlear
3. Trigeminal
4. Facial

Correct answer: 1. Abducens

Explanation: A-Abducens= Longest subarachnoid course(so whenever ICP will raise abducens nerve will affect first) B-Trochlear=Longest intracranial route, thinnest, only nerve has dorsal origin C- Trigeminal=Thickest nerve D-Facial= Longest intraosseous route